Tattooing in old decomposed body can be visualized by use of all except -
1. H2O2 3%
2. Gamma rays
3. Infrared photography
4. Examination with magnifying glass

Correct answer: 2. Gamma rays

Explanation: Tattoo in decomposed bodies can be visualised by 3% hydrogen peroxide, infrared photography and magnification glass in decomposed bodies. It is a method of identification. Ref: K.S.Narayan Reddy's Synopsis of Forensic Medicine and Toxicology, 29th edition, Chapter 4, page-56.